Which of the following bacteria can survive in holder method of pasteurization?
1. Bordetella
2. Salmonella
3. Coxiella
4. Mycobacterium bovis

Correct answer: 3. Coxiella

Explanation: All non-sporing pathogens are killed except Coxiella burnettii in holder method of pasteurization Another method is flash method Ref: CP Baveja 4th ed Pg:41